Billroth cords found in:
1. Red pulp of spleen
2. White pulp of spleen
3. Thymus
4. Lymph node

Correct answer: 1. Red pulp of spleen

Explanation: Ans. A. Red pulp of spleenThe Cords of Billroth (also known as splenic cords or red pulp cords) are found in the red pulp of the spleen between the sinusoids, consisting of fibrils and connective tissue cells with a large population of monocytes and macrophages.